Post operative radiotherapy in breast is given for?
1. To prevent metastasis
2. Ablation of remnant of cancer tissue
3. To prevent recurrence
4. Prevents distal metastasis

Correct answer: 3. To prevent recurrence

Explanation: Ans. is 'c' i.e. To prevent recurrence